The "window period" in HIV infection means:
1. The time Lapse between the infection and detection of viral antibodies
2. The time lapse between the infection and development of AIDS
3. The time lapse between obtaining the sample and detection of virus in the lab
4. None of the above

Correct answer: 1. The time Lapse between the infection and detection of viral antibodies